Streptococcus pyogenes have not shown resistance to:
1. Penicillin
2. Erythromycin
3. Tetracycline
4. Cotrimoxazole

Correct answer: 1. Penicillin

Explanation: Ans: a (Penicillin) Ref:KDT, 6th ed, p. 696Streptococci (except viridians, group D or enterococci) are highly sensitive to penicillin.Enterococci are usually treated with penicillin/ampicillin + gentamicin combination.Patients allergic or resistant to penicillin should be treated with vancomycin + gentamicin.Penicillins:They are a lactam antibiotics which interfere with synthesis of bacterial cell wall. They inhibit the transpeptidases so that cross linking in the bacterial cell wall does not take place.The transpeptidases and the related proteins constitute the penicillin binding proteins (PBPs).Resistance to penicillins and other b-lactams is due to one of four general mechanisms:1) Inactivation of antibiotic by b-lactamase2) Modification of target PBPs3) Impaired penetration of drug to target PBPs4) Efflux.* b-Lactamase production is the most common mechanism of resistance.* Altered target PBPs (penicillin binding proteins) are the basis of methicillin resistance in staphylococci and of penicillin resistance in pneumococci and enterococci.* Resistance due to impaired penetration of antibiotic to target PBPs occurs only in gram-negative species because of their impermeable outer cell wall membrane, which is absent in gram-positive bacteria.Classification1. Acid resistant alternative to penicillin G: Phenoxymethyl penicillin (Penicillin V)2. Penicillinase resistant penicillins: Methicillin, cloxacillin3. Extended spectrum pehicillin:a) Amino penicillin: Ampicillin, bacampicillin, amoxicillinb) Carboxypenicillin: Carbenicillin, ticarcillinc) Ureidopenicillin: Piperacillin, mezlocillinBeta-lactamase inhibitors: Clavulanic acid, sulbactum, tazobactum.Penicillin G is the drug of choice for Group A& B streptococcal infections, syphilis, anthrax, actinimycosis, tetanus, clostridial myonecrosis, rat-bite fever and Pasteurella multocida infections.